Sterility is caused by which of the following drug
1. Vinca alkaloids
2. Antimetabolite
3. Alkylating agents
4. Actinomycin D

Correct answer: 3. Alkylating agents

Explanation: Alkylating agents can cause serious adverse effects like sterility and leukamiasRef:Goodman and Gilman 11/e p1327